Example of Type IV Hypersensitivity is/are
1. Farmer's lung
2. Contact hypersensitivity
3. Immediate hypersensitivity
4. Myasthenia gravis

Correct answer: 2. Contact hypersensitivity

Explanation: Clinical examples of Type IV HS TB Sarcoidosis Temporal arteritis Contact dermatitis Lepromin test and PPD Patch test/contact HS Type I DM